Nocturnal enuresis is commonly treated with:
1. Imipramine
2. Chlordiazepoxide
3. Haloperidol
4. Chlorpromazine

Correct answer: 1. Imipramine

Explanation: In children above 5 years, imipramine 25 mg at bedtime is effective, but bed wetting may again start when the drug is stopped. Eldery subjects with bed wetting have also benefited. Ref KD Tripati 8th ed.